Rickets in infancy is characterised by the following except:
1. Craniotabes
2. Rachitic rosary
3. Wide open fontanelles
4. Bow legs

Correct answer: 4. Bow legs

Explanation: Ans. is 'd' i.e. Bow legs Ghai states - "Long bones of legs get deformed when the child starts bearing weight. Therefore deformities of legs are unusual before the age of 1 year. Anterior bowing of legs, knock knee and coxa vera are the usual deformities. "Clinical manifestation of Rickets:The main factor responsible for pathogenesis in Rickets: -* In rickets the abdomen is protuberant (pot belly) because of marked hypotonia of abdominal wall muscles. Visceral proptosis and lumbar lordosis also occurs in rickets.* More Questions on rickets: -Earliest manifestation of Rickets - CraniotabesClinical manifestation of Rickets appears at - later half of first year or in 2nd year. (Unusual below the age of 3 months)Questions on Radiological feature of Rickets: -Earliest radiological changes appear in long bones of radius and ulnaCupping of metaphysesLarge gap b/w epiphyses and metaphyses (widening of the physis i.e. growth plate)Irregular metaphyseal margins (ill-defined zone of provisional calcification)Osteopenia